A 24 year old male patient with h/o primary syphilis in the form of genital ulcer & mucocutaneous lesions, presents with features suggestive of neurosyphilis in the form of meningitis for which appropriate treatment was started. What will you do for monitoring of treatment aEUR'
1. Venereal disease Research Laboratory test (VDRL)
2. TPI
3. FTS-AB
4. ELISA

Correct answer: 1. Venereal disease Research Laboratory test (VDRL)

Explanation: VDRL The history of the patient suggests neurosyphilis. Diagnosis of Neurosvphilis No definitive tool / test exists to establish the diagnosis of neurosyphilis with 100% accuracy. Most of the serological tests used in the diagnosis of syphilis cannot accurately diagnosis neurosyphilis. Hence, the diagnosis of neurosyphilis usually depends on combination of clinical features plus C.S.F. finding and serological tests. C.S.F. findings in syphilis:? - Lymphocytic pleocytosis - Protein is moderately elevated - Glucose is usually normal Among the serological tests - "The VDRL C.S.F. test is the standard serological test for C.S.F. and is considered diagnostic of neurosyphilis". -Since invasion of C.S.F by syphilis stimulates production of antilipoidal antibodies in C.S.F.. VDRL test can be performed on C.S.F. to diagnose neurosyphilis. - The VDRL test is highly specific albeit insensitive for the diagnosis of neurosyphilis. - The sensitivity of VDRL*for neurosyphilis is 30% and specificity is 90%. Specific treponemol tests have proved to be quite inaccurate in the diagnosis of neurosyphilis Why ??? - The antibodies against the specific treponemal antigen have the tendency to cross C.S.F., so enough antibodies may be present in the C.S.F. even before neurosyphilis develops. - Therefore specific treponemal tests have no specificity for neurosyphilis. The CS.F. becomes positive for these tests even when neurosyphilis is not present. Moreover, Specific treponemal tests cannot be used to monitor treatment because? - These tests become positive soon after infection and typically remain positive .for life despite adequate treatment. An important point - Like VDRL test RPR test can also be used to monitor the treatment in syphilis but it is not suitable for testing C.S.F., so it cannot he used in neurosyphilis. (Anantnarayan 8/e p.375)